Which of the following is the first electron donor among the component of developer?
1. Phenidone
2. Hydroquinone
3. Ammonium thiosulphate
4. Sodium sulfite

Correct answer: 1. Phenidone